Does not include in strand field's "seven I" principles of health education
1. Identification
2. Involvement
3. Implementation
4. Innovation

Correct answer: 3. Implementation

Explanation: "SEVEN I" principle of strandfield :

Identification.
Indigenization.
Involvement.
Indoctrination.
Integration.
Influencess.
Innovation.